Lacunar variant Reed Sternberg cells are Characteristic of
1. Nodular Sclerosis type
2. Lymphocyte-Rich type
3. Lymphocyte depletion type
4. Lymphocyte predominance type

Correct answer: 1. Nodular Sclerosis type

Explanation: SubtypeReed Sternberg cellsNodular SclerosisLacunar variantLymphocyte-richMononuclear variantsLymphocyte depletionReticular variantLymphocyte predominanceL&H (lymphocytic and histiocytic)Ref: Robbins and Cotran Pathologic Basis of Disease; 9th edition; Chapter 11; Diseases of White Blood Cells, Lymph Nodes, Spleen, and Thymus; Page no: 609